Which of the following is Type III RPGN
1. SLE
2. IgA nephropathy
3. Granulomatosis with polyangitis
4. Cryoglobulinemia

Correct answer: 3. Granulomatosis with polyangitis

Explanation: Type III RPGN is the most common type of RPGN. It is "pauci immune type". It doesn't have either anti-GBM antibodies or immune complexes. It is ANCA associated hence the examples are Granulomatosis with polyangitis, microscopic polyangitis.